Thickness of split grafts commonly used in oral and maxillofacial region:
1. Upto 0.3mm
2. 0.6 mm
3. 0.3-0.5 mm
4. >0.6 mm

Correct answer: 3. 0.3-0.5 mm

Explanation: The split thickness graft consists of epidermis and the superficial part of dermis, thus containing few skin appendageal structures. The grafts are classified as thin (upto 0.3mm), medium (0.4 — 0.5mm) and thick (about 0.6mm). Split grafts of 0.3 to 0.5mm thickness are commonly used in oral and maxillofacial procedures.